Gene for Wilm' s tumor is located on-
1. Chromosome 1
2. Chromosome 10
3. Chromosome 11
4. Chromosome 12

Correct answer: 3. Chromosome 11

Explanation: Ans. is 'c' i.e., Chromosome 11 o Mutations of the WT1 gene on chromosome 11 p 13 are observed in approximately 20% of Wilms' tumors. o At least half of the Wilms' tumors with mutations in WTI also carry mutations in CTNNB1, the gene encoding the proto-oncogene beta-catenin.